Cobra poison is:
1. Neurotoxic
2. Myotoxic
3. Cardiotoxic
4. Vasculotoxic

Correct answer: 1. Neurotoxic

Explanation: Ans. Neurotoxic